Necrotizing arterioritis with fibrionoid necrosis is-
1. Immediate hypersensitivity
2. Cell mediated* unity
3. Antigen-antibody complex mediated
4. Cytotoxic cell mediated

Correct answer: 3. Antigen-antibody complex mediated

Explanation: Type III hypersensitivity occurs when there is accumulation of immune complexes (antigen-antibody complexes) that have not been adequately cleared by innate immune cells, giving rise to an inflammatory response and attraction of leukocytes. Such reactions progressing to the point of disease produce immune complex diseases.Disease Target antigen Main effects Systemic lupus erythematosus Nuclear antigens Nephritis Skin lesions Arthritis Rheumatoid Arthritis Antibody complexes: specifically IgM to IgG Arthritis Post-streptococcal glomerulonephritis Streptococcal cell wall antigens Nephritis Polyarteritis nodosa Hepatitis B virus surface antigen Systemic vasculitis Reactive arthritis Several bacterial antigens Acute arthritis Serum sickness Various Arthritis Vasculitis Nephritis Arthus reaction Various Cutaneous vasculitis Farmer's Lung Inhaled antigens (often mould or hay dust) Alveolar inflammation Henoch-Schonlein purpura Unknown, likely respiratory pathogen Purpura Glomerulonephritis Ref Robbins 9/e p125